Unit of study in Randomised control trial is
1. Population
2. Healthy person
3. Patient
4. Sample group

Correct answer: 3. Patient